A 56-year-old man is surgically treated by a four-vessel coronary artery bypass graft procedure and placed on prophylactic daily aspirin therapy. Aspirin has been shown to prevent recurrent myocardial infarction through its ability to inhibit the synthesis of
1. Adenosine diphosphate (ADP).
2. Leukotriene B4 (LTB4 )
3. Nitric oxide (NO).
4. Thromboxane A2 (TXA2)

Correct answer: 4. Thromboxane A2 (TXA2)

Explanation: Aspirin Irreversibly inhibits the enzymes cyclooxygenase 1 and 2 Inhibits synthesis of Thromboxane A2 (TxA2). TxA2 promotes platelet aggregation,as does ADP. Aspirin inhibits platelet aggregation, which is an important early step in atherogenesis.